Lady present at 37 weeks with BP 150/100 mmHg, proteinuria of 3+. On Pelvic examination cervix is found to be soft with 50% effacement , station is '-2' , pelvis adequate and cervical os is 1 cm dilated. Most appropriate step at the moment would be:
1. Observation with monitoring of BP
2. Anti hypertensive & wait for spontaneous labour
3. Induction of labour
4. Caesarean section

Correct answer: 3. Induction of labour

Explanation: The above case history is suggestive of pre-eclampsia (high BP with proteinuria) at term pregnancy Management involves BP control, watch for signs of impending eclampsia, PIH work up, fetal monitoring and delivery Since the cervix is favourable and pelvis is adequate, the patient may be induced for delivery with careful fetal and maternal monitoring